Arsenophagists are
1. Persons using arsenic as abortion stick
2. Persons using arsenics as cattle poisoning
3. Persons who can tolerate high doses of arsenic after taking it in low doses at frequent intervals
4. Criminals using arsenic for homicide purposes

Correct answer: 3. Persons who can tolerate high doses of arsenic after taking it in low doses at frequent intervals

Explanation: Some people take arsenic daily as a tonic or as an aphrodisiac and they acquire tolerance to 250-300mg or more in one dose. Such people are known as arsenophagists. Ref -